A patient complains of pain in the upper portion of his neck on swallowing. He occasionally regurgitates undigested food shortly after eating. Which of the following is the most likely etiology of his problems?
1. Mallory-Weiss tear
2. Zenker's diverticulum
3. Schatzki rings
4. Traction diverticula

Correct answer: 2. Zenker's diverticulum

Explanation: Zenker's diverticulum False diverticulum Formed by herniation of mucosa at junction of pharynx & esophagus in posterior hypopharyngeal wall. Features Halitosis Regurgitation of previous day food If diverticulum fills completely with food,can cause dysphagia or obstruction of esophagus. Mallory-Weiss tear (option A) - Mucosal tear below gastroesophageal junction secondary to repeated, forceful vomiting; often seen in alcoholics. Schatzki rings (option C) are mucosal rings found in distal esophagus at squamocolumnar junction. Traction diverticula (option D)- In contrast to a Zenker's diverticulum, this is usually asymptomatic & are true diverticula involving all of layers of esophagus. They are typically caused by adherence of esophagus to scarred mediastinal structure.